Inhalation of sugarcane dust could cause
1. Bagassosis
2. Byssinosis
3. tobacosis
4. Farmer's Lungs

Correct answer: 1. Bagassosis

Explanation: Bagassosis occurs due to occupational exposure to fibrous residue of sugarcane (bagasse); Bagassosis has been shown to be due to Thermoactinomyces sacchari
Bagasse contains a percentage of silica, innumerable fungal spores and micro-organisms; Bagasse dust blocks bronchioles thus leading to bronchitis and bronchopneumonia
Prevention and Bagasse control measures:

– Keeping moisture content > 20%
– Spraying bagasse with 2% propionic acid (fungicide).